Michaelis Gutmann bodies are found in?-
1. Malakoplakia
2. Xanthogranulomatous pyelonephritis
3. Nail patella syndrome
4. Xanthelesma

Correct answer: 1. Malakoplakia

Explanation: Malakoplakia is an uncommon inflammatory disease that most commonly occurs in the bladder. It results from defects in the phagocytic or degradative function of macrophages. As a result of this defect, undigested bacterial products accumulate within distended phagosomes, which are seen in histologic sections as abundant granular material within the cytoplasm of macrophages. The abnormal macrophages also contain laminated mineralized concretions known as Michaelis-Gutmann bodies, which result from deposition of calcium salts in the enlarged lysosomes. Ref: Robbins Basic Pathology 10TH edition pg no 702